Paget's disease involves which of the following bone-
1. Pelvis
2. Vertebrae
3. Skull
4. All

Correct answer: 4. All

Explanation: Ans. is 'a' i.e., Pelvis; 'b' i.e., Vertebrae & 'c' i.e., SkullPaget disease involveso Skull o Spine (vertebrae) o Tibiao Pelvis o Femur o Humerus